Therapeutic Index is:
1. ED50/LD50
2. LD50/ED50
3. ED50-LD50
4. ED50 XLD50

Correct answer: 2. LD50/ED50

Explanation: ref; KD Tripathi Pharmacology 7th edition (page no:55) The gap between the therapeutic effect DRC (Dose Response Curve)and the adverse effect DRC defines the safety margin or the therapeutic index of a drug. Therapeutic index =median lethal dose /median effective dose or LD 50 / ED 50